A 10-year-old child presents with fever since 24 hours. History reveals 3 episodes of chest infection and passage of bulky, foul smelling stools. The most probable diagnosis is?
1. Cystic fibrosis
2. Maple syrup urine disease
3. Bilirubin conjugation defect
4. Crigler-Najjar syndrome

Correct answer: 1. Cystic fibrosis

Explanation: Recurrent chest infections & bulky, foul smelling stools point to a diagnosis of cystic fibrosis